IP3 facilitates which ion entry into cytoplasm?
1. Na+
2. K+
3. Ca++
4. Mg++

Correct answer: 3. Ca++

Explanation: In the cells, Phosphatidyl inositol Pyrophosphate (PIP2) is present in membrane This PIP2 is broken into DAG and IP3 by the enzyme Phospholipase C IP3 being polar will go into cytoplasm and acts as the 2nd messenger Help in releasing calcium stores and increases Calcium levels in the cell.